Cardiomyopathy is seen in all except -
1. Alkaptonuria
2. Type 2 glycogen storage disorder
3. Duchenne muscular dystrophy
4. Freidrich ataxia

Correct answer: 1. Alkaptonuria

Explanation: signs and symptoms of Alkaptonuria:valvular heart diseases mainly calcification regurgitation of the aortic and mitral valves, may occur, and in severe and progressive cases, valve replacement may be necessary. Irregularities in the heart rhythm and heart failure affect a significant proportion of people with alkaptonuria (40% and 10%, respectively). Hearing loss affects 40% of people. Also, a propensity to developing kidney stones exists, and eventually also gallstones and stones in the prostate and salivary glands (sialolithiasis) can occur. Ref Harrison 20th edition pg 1578